Which of the following indicate towards sexual abuse:
1. Tearing, bruising or specific inflammation of mouth, anus or genitals
2. Venereal disease of genitals in a child under 15 years
3. Evasiveness of a pregnant girl to name her partner
4. Any of the above

Correct answer: 4. Any of the above